All are live vaccins except
1. BCG
2. OPV
3. Measeles
4. Tetanus

Correct answer: 4. Tetanus